Most cardiotoxic local anaesthetic is:
1. Procaine
2. Bupivacaine
3. Prilocaine
4. Tetracaine

Correct answer: 2. Bupivacaine

Explanation: - Bupivacaine is most cardiotoxic local anaesthetic - so, it is contra-indicated in intravenous regional anaesthesia (Bier's block) =Prilocaine caused methmoglobinemia